Alopecia universalis is?
1. Loss of all the scalp hair
2. Loss of all body hair
3. Loss hair at the scalp margin
4. Male pattern hair loss

Correct answer: 2. Loss of all body hair

Explanation: Ans. is 'b' i.e., Loss of all body hair * In alopecia aerata, when there is total loss of scalp hair it is called Alopecia totalis. When there is loss of total body hair it is referred as Alopecia universalis. Alopecia along the scalp margin is called ophiasis. An inverse ophiasis pattern (sisaphio) is when it spares occipital region and affects rest of the scalpPresentation of alopecia areata* Young adults are affected, but can occur at any age. Round or oval circumscribed patches of hair loss, which may be single or multiple. Alopecia is sharply defined. Scalp is the first affected site in most cases but any hair bearing skin, e.g. beard, eyebrows and eyelashes can be involved. Exclamation mark hair - These are diagnostic and are characterized by broken-off stubby hair (distal end is broader than proximal end). Exclamation mark hair are seen at the margins of hair loss area.* The characteristic feature is sparing of gray/white hair and preferentially affecting pigmented (black/brown) hair. This results in a dramatic change in hair colour if alopecia progress rapidly and referred to as "going white overnight phenomenon".* In 10-15% of patient's there is nail involvement - Fine stippled pitting ("hammered brass"), mottled lunula, trachynonychia (rough nails), onychomadesis (separation of nail from matrix).